Lamina papyracea is between ?
1. Optic nerve and orbit
2. Maxillary sinus and orbit
3. Ethmoid sinus and orbit
4. Cranial cavity and orbit

Correct answer: 3. Ethmoid sinus and orbit

Explanation: The thinnest portion of medial wall of orbit is the lamina papyracea which separates ethmoid sinuses from orbit. o Infection from ethmoidal sinus can easily breach this paper thin bone and affect the orbital contents.